Rosette cataract seen in ?
1. Ocular trauma
2. Diabetes
3. Wilsons
4. None

Correct answer: 1. Ocular trauma

Explanation: Rosette cataract it is the most typical form of concussion cataract. It appears as feathery lines of opacities along the star-shaped suture lines; usually in the posterior cortex. Concussion cataract occurs mainly due to imbibition of aqueous and partly due to direct mechanical effects of the injury on lens fibres. REF IMG